All are are features of trachoma except
1. Circumcorneal congestion
2. Follicle
3. Cicatrization
4. Keratitis

Correct answer: 1. Circumcorneal congestion

Explanation: Trachoma is characterized by conjunctival congestion. It causes keratitis, cicatrization and follicle ciliary congestion,and corneal is not a feature of conjunctivitis refer :Khurana 6th edition page number 65